Normal platelet count is/are seen in -
1. DIC
2. Shaken baby syndrome
3. Microangiopathic hemolytic anemia
4. Splenomegaly

Correct answer: 2. Shaken baby syndrome

Explanation: DIC and microangiopathic hemolytic anemia cause thrombocytopenia.
Kasabach-Merritt syndrome (KMS) is defined as profound thrombocytopenia related to platelet tapping within a vascular tumor.
Splenomegaly (hypersplenism) may cause thrombocytopenia.
Shaken baby syndrome is not a cause of thrombocytopenia.